A female presents with history of progressive breathlessness. Histology shows heterogenous patchy fibrosis with several fibroblastic foci. The most likely diagnosis is:
1. Cryptogenic Organizing Pneumonia
2. Non Specific Interstitial pneumonia
3. Usual Interstitial Pneumonia
4. Desquamative Interstitial Pneumonia

Correct answer: 3. Usual Interstitial Pneumonia

Explanation: Histologic hallmark of UIP is a heterogeneous appearance at low magnification with alternating areas of normal lung, interstitial inflammation, foci of proliferating fibroblasts, dense collagen fibrosis and honeycomb changes. Ref: Harrison's Principles of Internal Medicine, 16th Edition, Page 1557.